Drug of choice for Mycoplasma pneumoniae is
1. Penicillin
2. Tetracycline
3. Cefuroxirne
4. Erythromycin

Correct answer: 4. Erythromycin